MELD diagnostic score -
1. Predicts mortality in patient waiting liver transplant
2. Higher score - less mortality risk
3. Predicts mortality risk for a 60 day period
4. It is a 4 to 60 scale

Correct answer: 1. Predicts mortality in patient waiting liver transplant

Explanation: Ans. is 'a' i.e., Predicts mortality in patients waiting liver transplanto MELD (The model for end-stage liver disease) is a linear regression model based on objective laboratory values(INR, bilirubin level and creatinine level). It wras originally developed to predict mortality after TIPSS. It is used in USfor liver transplant allocation,o It is a 6 to 40 point scale.o The relative risk of mortality increases by 14% for each 1 point increase in MELD score.MELD score =3-8 1og(e) (S.bilirubin mg'dl) +11-2 log(e) (INR) + 9-6 log(e) (S. creatinine mg/dl).orMELD score = 10